Intracranial calcification is best diagnosed by:
1. Plain X Ray skull
2. CT Scan
3. FDG-PFT Scan
4. MRI

Correct answer: 2. CT Scan

Explanation: Ans. (b) CT ScanRef: Harrison 19th ed. / 426e-7* When the Hounsfield units (Hurt) exceed an established threshold (100 Hurt), the source is believed to be calcification. CT imaging is the gold standard in detecting calcification.* Calcifications of the pineal gland, choroid plexus, basal ganglia anal dura mater are commonly seen with aging and are usually not associated with pathological clinical phenomena. However calcium deposits can be associated with several intracranial pathologies including tumors, cerebrovascular diseases, congenital conditions, trauma and endocrine/metabolic disorders.